Multiple ileal atresias that have a "string of sausage" or "string of beads" appearance is classified as:
1. Type 1
2. Type 3 A
3. Type 3 B
4. Type 4

Correct answer: 4. Type 4

Explanation: Surgical correction of the small intestinal atresia should be performed urgently. At laparotomy, one of several types of atresia will be encountered. In type I there is a mucosal atresia with intact muscularis. In type 1 the atretic ends are connected by a fibrous band. In type 3A the two ends of the atresia are separated by a V-shaped defect in the mesentery. Type 3B is an "apple-peel" deformity or "Christmas tree" deformity in which the bowel distal to the atresia receives its blood supply in a retrograde fashion from the ileocolic or right colic artery. In type 4 there are multiple atresias that have a "string of sausage" or "string of beads" appearance. Ref: Schwartz's principle of surgery 9th edition, chapter 39.